The process by which red blood cells move out of vessels through widened inter endothelial junction is referred to as:
1. Pavementing
2. Diapedesis
3. Rouleax formation
4. Chemotaxis migration

Correct answer: 2. Diapedesis